Chediak Higashi syndrome is characterisedwhich of the following defect of patelets?
1. Platelet formation
2. Platelet adhesion
3. Platelet aggregation
4. Platelet granule release

Correct answer: 4. Platelet granule release

Explanation: Ans. is 'd' i.e., Platelet granule release